Hardoleum internum is -
1. Acute infection of Zeis gland
2. Acute infection of Moll gland
3. Acute infection Meibomian gland
4. Chronic infection of Zeis gland

Correct answer: 3. Acute infection Meibomian gland

Explanation: Suppurative inflammation of meibomian gland associated with blockage of the duct. Ref:Ak khurana 6th edition REF IMG